Splenectomy is useful in:
1. Hemophilia
2. Polycythemia
3. Hereditary Spherocytosis
4. Thalassemia

Correct answer: 3. Hereditary Spherocytosis

Explanation: Ans. C: Hereditary Spherocytosis